The segment of DNA between chromosal and extrachromosal DNA molecules within the cells are -
1. Transposons
2. Cosmid
3. Plasmid
4. Episomes

Correct answer: 1. Transposons

Explanation: TRANSPOSABLE GENETIC ELEMENTS Certain structurally and genetically discrete segments of DNA have been identified that have the ability to move around in a cut and paste manner between chromosomal and extrachromosomal DNA molecule within the cells. These DNA molecules are called transposons(jumping genes) A transposon is a segment of DNA with one or more genes in the center and the two winds carrying inverted repeat sequences of nucleotides -nucleotides sequence complementary to each other but in reverse order. Because of this feature, each strand of the transposon can form a single-stranded loop carrying the gene and a double-stranded stem formed by hydrogen bonding between the terminal inverted repeated sequences. Small transposons are known insertion sequences or are. transposon attach at certain regions of chromosomal, plasmid or phage DNA. Insertion of a transposon leads to the acquisition of new characteristic by the recipient DNA molecule. Unlike plasmids, transposons are not self-replicating and depend on chromosomal or plasmid DNA for replication REF:Ananthanarayan and Panicker's Textbook ofMicrobiology 8thEdition pg no: 67